Which of the following statements is true about REM sleep?
1. It forms 50% of total sleep duration
2. Sympathetic activity increases
3. Muscle tone is normal
4. dreams are not memorized

Correct answer: 2. Sympathetic activity increases

Explanation: REM sleep :

It forms 20-25% of total sleep duration
Sympathetic activity increases
Dreams are well memorized
Generalised muscular atony, excpet extraocular muscle, muscles of Penis.